Drug not used in management of bronchial asthma?
1. Phosphodiesterase inhibitor
2. Steroids
3. Beta agonist
4. Cholinergic drugs

Correct answer: 4. Cholinergic drugs

Explanation: Ans. D. Cholinergic drugsCholinergic drugs cause bronchospasm and are contraindicated in asthma. Rather anticholinergic drugs are used in case of asthma.